Anthrol acts as purgative due to -
1. Irritant action
2. Bulk formation in intestinal lumen
3. Osmotic action
4. Emollient effect

Correct answer: 1. Irritant action

Explanation: Ans. is 'a' i.e., Irritant action o Anthroquinones (senna, cascara sagrada) are stimulant purgatives --> irritate the intestinal mucosa and thus stimulate motor activity.